Gas commonly used in laparoscopy is:
1. CO2
2. SO2
3. N2
4. O2

Correct answer: 1. CO2

Explanation: Ans. A i.e. CO2